Electrically shockable rhythm is
1. Ventricular Fibrillation
2. Asystole
3. Pulseless electrical activity
4. Bradycardia

Correct answer: 1. Ventricular Fibrillation

Explanation: Shockable Rhythms Fibrillation V.Tachycardia TDP. PSV. Asystole= DC shock is C/I Pulseless electrical activity= Tension pneumothorax , Cardiac tamponade. Bradycardia=Rx- Atropine, Trans Cutaneous pacing, TVP (Trans Venous Pacer) Non shockable rhythms 1. Asystole 2. Electromechanical Dissociation